Tryptophan is-
1. Glucogenic
2. Ketogenic
3. Both glucogenic & ketogenic
4. None

Correct answer: 3. Both glucogenic & ketogenic

Explanation: Ans. is 'c' i.e., Both glucogenic & ketogenic GlucogenicKetogenicBoth glucogenic & ketogenico Alanineo Arginineo Aspargineo Aspartic acido Cysteineo Glutamineo Glutamic acido Glycineo Histidineo Methionineo Prolineo Serineo Threonineo Valineo Leucineo Lysineo Isoleucineo Phenylalaineo Tyrosineo TryptophanNote: According to Harper 29th/e (P-282), lysine is both ketogenic and glucogenic. But all other textbooks have mentioned it as ketogenic.